Hemoglobin's affinity for oxygen is increased due to ?
1. An increase in CO2
2. Raise in the temperature
3. Higher value
4. A decrease in 2,3 DPG

Correct answer: 4. A decrease in 2,3 DPG

Explanation: ANSWER: D A decrease in 2,3 DPG